A 57-year-old woman experiences frequent symptoms of heartburn. She reports no weight loss, diarrhea, or dysphagia symptoms. Past medical history is significant for vitamin B12 deficiency treated with monthly injections. She appears well, and the examination is normal, except for some patches on her arms where she has lost all the skin pigmentation. Her upper endoscopy is normal, except for gastric biopsies commenting on gastritis.For the above patient with gastritis, select the most likely mechanism of injury.
1. bile acid reflux implicated in pathogenesis
2. immune or autoimmune pathogenesis suspected
3. ischemia of the gastric mucosa implicated in the pathogenesis
4. associated with Helicobacter pylori infection

Correct answer: 2. immune or autoimmune pathogenesis suspected

Explanation: Type A chronic gastritis may lead to pernicious anemia. Antibodies to parietal cells and to intrinsic factor are frequently seen in the sera, suggesting an immune or autoimmune pathogenesis. These patients can also have autoimmune thyroid disease and vitiligo.